The elastic or plastic deformation to fracture a material is its:
1. Toughness
2. Brittleness
3. Young's Modulus
4. Proportional limit

Correct answer: 1. Toughness